Operation theatres are sterilized by -
1. Carbolic acid spraying
2. Washing with soap and water
3. Formaldehyde
4. ETO gas

Correct answer: 3. Formaldehyde